Which of the following is a bacteriostatic Anti tubercular drug?
1. Streptomycin
2. Ethambutol
3. Isoniazid
4. Rifampicin

Correct answer: 2. Ethambutol

Explanation: ANSWER: (B) EthambutolREF: KDT 6th edition page 703Bacteriostatic anti tubercular drugs are:ThiacetazoneEthionamideEthambutolPASCycloserine